A footballer sustained a blow on the lateral side of knee. X-ray showed no bony injuries. On examination,the Drawer tests were negative and McMurrays test was positive. Most probably structure could be :
1. Anterior cruciate ligament
2. Lateral collateral ligament
3. Lateral meniscus
4. Posterior cruciate ligament

Correct answer: 3. Lateral meniscus

Explanation: *McMurray's test is used for meniscal injury. Ref: Maheshwari 9th ed p.356